A 19-year-old college student develops a rash. She works part-time in a pediatric AIDS clinic. Her blood is drawn and tested for specific antibody to the chickenpox virus (varicella-zoster). Which of the following antibody classes would you expect to find if she is immune to chickenpox?
1. IgA
2. IgG
3. IgM
4. IgD

Correct answer: 2. IgG

Explanation: The initial response to a new infection is with an IgM class antibody. IgM develops quickly and usually disappears within a few months. The secondary response is IgG and reflects the patient's immune status or, in the case of chickenpox, a vaccination given. Reference: Ananthanarayan and Paniker's Textbook of Microbiology Tenth edition